Which of the following change is least likely to occur in anorexia nervosa, binge-purging type?
1. Hypocalcemia
2. Hypokalaemia
3. Hyperamylasemia
4. Hyperchloremic

Correct answer: 4. Hyperchloremic

Explanation: Anorexia nervosa is associated with: Hypochloremia Hypokalaemia Hypocalcaemia Hypophosphatemia (due to recurrent vomitting) Hyperamylasemia (inflammation in salivary gland) It can lead to refeeding syndrome. Refeeding syndrome can occur when the nutritional state of a starved person is restored too rapidly. * It occurs within the first few days of re-nutrition secondary to insulin release, which activates protein, fat, and glycogen synthesis. * These pathways require electrolytes such as phosphorus, magnesium, and potassium, leading to their rapid depletion. * More important, these electrolyte disturbances can lead to arrhythmias, which are the most common cause of death in refeeding syndrome. Management includes replenishing phosphate and more gradual re-nourishment